Ribs are developed from ?
1. Cloaca
2. Sclerotome
3. Endodermal cloaca
4. Primitive gut

Correct answer: 2. Sclerotome

Explanation: Ribs are derived from lateral cells of sclerotome.Derivatives of paraxial mesoderm Paraaxial mesoderm is organized into somites which in turn gives rise toi) Sclerotomes : Form axial skeleton including vertebrae, ribs and parts of neurocranium.ii) Myotomes : Form all voluntary (skeletal) muscles of head, trunk and limbs.iii) Dermatomes : Form dermis of skin, especially over dorsal regions.